Not an example of granulomatous disease -
1. TB
2. Leprosy
3. Sarcidosis
4. Mycoplasma

Correct answer: 4. Mycoplasma

Explanation: Ans. is 'd' i.e., Mycoplasma Granulomas may be divided into:-1) Immune (hypersensitivity) granuloma (MC type)a) Bacterial infections:- TB, leprosy, syphilis, brucellosis, salmonellosis, Q-fever, cat scratch disease,yersinia.b) Fungus & parasites:- Histoplasma, blastomycosis, coccidioidomycosis, schistosomiasis, trichiniasis, filariasis.c) Other:- Sarcoidosis, Crohn's disease, Wegner's granulomatosis, RA, Giant cell arteritis, Hodgkin's disease, Berylliosis, Byssinosis.2) Non-immune granuloma usually forms in response to poorly digestable substances, e.g. Silica (silicosis).